Caloric requirement of adult male worker with moderate levels of activity is:-
1. 2320 Kcal /day
2. 2230 Kcal /day
3. 2730 Kcal/day
4. 3490 kcal/day

Correct answer: 3. 2730 Kcal/day

Explanation: Caloric requirement of Adult Male worker:- Sedentery levels of activity - 2320 Kcal/day Moderate levels of activity - 2730 Kcal/day Heavy levles of activity - 3490 Kcal/day. Caloric requirement of Adult Female worker:- Sedentery levels of activity - 1900 Kcal/day Moderate levels of activity - 2230 Kcal/day Heavy levles of activity - 2850 Kcal/day.